The Most common cause of a Mycotic aneurysm is
1. Candida albicans
2. Treponema pallidum
3. Staphylococcus aureus
4. Pseudomonas aeuriginosa

Correct answer: 3. Staphylococcus aureus

Explanation: Primary infection of the aortic wall results in aneurysm formation termed mycotic aneurysms, the pathogens usually are bacteria, most common being Staphylococcus aureus, Staphylococcus epidermidis, Salmonella, and Streptococcus. ref - Harrisons internal medicine 20e pg1918